Which of the following enzymes is responsible for the transfer of amino groups from an amino acid to an alpha keto acid?
1. Transaminase
2. Transketolase
3. Deaminase
4. Lyase

Correct answer: 1. Transaminase

Explanation: Ans. A. TransaminaseTransfer of Amino Groups (Transamination)a. Transaminases are responsible for the transfer of an amino group (NH2 ) from an amino acid to an alpha keto acid.b. It results in the formation of a new amino acid and alpha keto acid.c. Transaminases are also known as aminotransferases.d. Pyridoxal phosphate (derived from Vitamin B6) acts as a coenzyme for transamination reactions.e. These reactions are reversible.